Which of the movements of thumb are not affected in radial nerve injury
1. Opposition
2. Abduction
3. Extension
4. All of the above

Correct answer: 1. Opposition

Explanation: Abductor pollicis longus, extensor pollicis brevis, extensor pollicis longus are supplied by deep branch of radial nerve so injury will affect the movements such as extension and abduction. Opponens pollicis is supplied by the muscular branches of median nerve in the palm. Mnemonic Radial nerve supplies "BEST muscle" Brachialioradialis Extensors of wrist Supinator Triceps brachii B D Chaurasia 7th edition Page no: 181